Mantle Field Radiotherapy is generally used in treatment of?
1. Neuroblastoma
2. Hodgkins Lymphoma
3. Lung cancer
4. Breast carcinoma

Correct answer: 2. Hodgkins Lymphoma

Explanation: Mantle Field Radiotherapy is used in the treatment of Hodgkins Lymphoma The image represents the area of lymph nodes irradiated with Mantle Field Radiotherapy Inverted Y radiotherapy is used for treating Hodgkins Lymphoma Below diaphgram/Bilateral Seminoma